Commonest site of epistaxis in young is:
1. Bony septum
2. Little's area
3. Superior turbinate
4. Lateral wall of nose

Correct answer: 2. Little's area

Explanation: The MC site of epistaxis in children and young is the Little's area (Kiesselbach's plexus) present in the antero-inferior septum just above the vestibule.